Muscle relaxant of choice in liver disease is ?
1. Atracurium
2. Pipecuronium
3. Rocuronium
4. Vecuronium

Correct answer: 1. Atracurium